At which stage oocyte is retrieved in in-vitro fertilization?
1. Oogonia
2. Primary oocyte
3. Secondary oocyte
4. Primordial germ cell

Correct answer: 3. Secondary oocyte

Explanation: In Vitro Fertilization Ovary is hyperstimulated with clomiphene citrate. Graffian follicle is aspirated just before ovulation to retrieve secondary oocyte. Mix sperm with 2o oocyte - Test tube baby Trans-vaginal insertion into uterus done at 8 cell stage